Non ischaemic chest pain is caused by:
1. Bleomycin
2. Vincristin
3. Cyclophophamide
4. Cisplatin

Correct answer: 1. Bleomycin

Explanation: Ans: aRef: Harrison, 15"'ed, p. 434, Table 71.2 VI